The only FDA approved radioactive antibody that can be used for treatment of lymphoma :
1. Trastuzumab
2. Ibritumomab
3. Rituximab
4. Imatinib

Correct answer: 2. Ibritumomab